All are feature of radiaiton except
1. Biological
2. Photographic
3. Fluorescent
4. Non penetrating

Correct answer: 4. Non penetrating

Explanation: D i.e. Non penetrating There is nothing to explain as radiation may be penetrating also. (Example gamma rays)